The Tzanck test, which aids in the diagnosis of herpes simplex infection, is a search for:
1. Intracytopiasmic inclusion bodies
2. Koilocvtic cells
3. Virus shedding from pustular lesions
4. Multi nucleated giant cells

Correct answer: 4. Multi nucleated giant cells

Explanation: Ans: D (Multi nucleated giant cells) Ref: Jawetz, Melnick & Adelberg's. Textbook of Medical Microbiology, 25th Edition. 2010. Pg. 456Explanation:Tzanck test is done to demonstrate tbe multinucleated giant cells in smears of scrapings or swabs of the base of vesicles in patients with herpes simplex infection.The multinucleated giant cells are absent in nonherpetic vesicles.